Hypertrophy is
1. Increase in cell number
2. Increase in cell size
3. Decrease in cell number
4. Decrease in cell size

Correct answer: 2. Increase in cell size

Explanation: Hypertrophy is an increase in size of parenchymal cells resulting in enlargement of the organ or tissue, without any change in the number of cells.REF. Textbook of Pathology HARSH MOHAN 6th Edition page no.55